The primary defects in CTEV are the following EXCEPT
1. Equinus
2. Adduction
3. Calcaneus
4. Varus

Correct answer: 3. Calcaneus

Explanation: Ans. c (Calcaneus) (Ref. Nelson Paediatrics 17th ed., 2256 and Maheshwari orthopedics 3rd ed., 199)Examination of the infant with CTEV (clubfoot) demonstrates:# Hindfoot equinus,# Hindfoot and midfoot varus,# Forefoot adduction.These findings are secondary to the medial dislocation of the talonavicular joint.CONGENITAL TALIPES EQUINOVARUS (CLUBFOOT/CTEV)# The cause is unknown; considered to have multifactorial inheritance with major influence from a single autosomal dominant gene.# Seen approximately 1 in 1,000 births. Occurs more commonly in males (2:1) and is bilateral in 50% of cases.# The navicular bone (primary site of deformity), does not ossify until 3 yr in the female and 4 yr in male.# Treatment of CTEV:< 3 years ageSoft tissue release4-8 yearsEvan's operation8-11 yearsWedge tarsectomy> 12 yearsTriple arthrodesis